Condyloma acuminata in pregnancy is treated by
1. Podophyllin
2. Podophyllin toxin
3. Trichloroacetic acid
4. 5-FU cream

Correct answer: 3. Trichloroacetic acid

Explanation: Chemical cauterization is usually done with liquified phenol or concentrated trichloroacetic acid